Protein losing enteropathy is seen in
1. TOF
2. HOCM
3. Constrictive pericarditis
4. None of the above

Correct answer: 3. Constrictive pericarditis